Which among the following is the best inotrope drug for use in right heart failure?
1. Dobutamine
2. Digoxin
3. Dopamine
4. Milrinone

Correct answer: 4. Milrinone

Explanation: Ans. (D) Milrinone(Ref: Goodman and Gilman, 11th/e p575, Harmon 17th/e p1455)Inotropic drugs are not used for treatment of right sided heart failure where the major treatment is diuretics and vasodilators. Milrinone being a phosphodiesterase inhibitor act as an inodilator. Thus, this is the only inotropic drug that should be used in right sided failure due to its ability to produce vasodilation. It is indicated in right heart failure with pulmonary hypertension.